Which of the following is not used to induce ovulation-
1. Danazol
2. Clomiphene
3. HMG
4. HCG

Correct answer: 1. Danazol